Causes of abnormal uterine bleeding prior to menarche are all except
1. Vulvovaginitis
2. Foreign body and abuse
3. Anovulation
4. Precocious puberty

Correct answer: 3. Anovulation

Explanation: AUB resulting from anovulation is seen in adolescent age group, not prior to menarche.